For a survey a village is divided into 5 lanes then each lane is sampled randomly is an example is:
1. Simple random sampling
2. Stratified random sampling
3. Systematic random sampling
4. All if the above

Correct answer: 2. Stratified random sampling

Explanation: Stratified random sampling Random/probability sample : sample in which researcher can specify the population known factor of any one element (same)in the population being included.(being picking link). So every person has an equal chance of selection in random sampling. - Probability samples used in inferential statistics - Non probabilities samples used in only descriptive statistics Type of probability sample (Random sample) 1. Simple random sample - All person have equal right to be selected. Simplest type of random probability. 2. Stratified random sample - in it the population is 1st divided into relatively internally homogenous group of strata from which random sampling are drawn. Example:Village Population 3. Systematic sample - it involve selecting element in a systematic way. Example: Every 10th baby born in area. Every 3rd person admitted to hospital.